Medical treatment of unruptured ectopic pregnancy is contraindicated in :
1. Sac size 3 cm
2. HCG level 3000 IU
3. Foetal heart activity present
4. 70 ml blood collection in pelvis

Correct answer: 3. Foetal heart activity present

Explanation: Foetal heart activity present